Enterotoxins are produced by all except -
1. Clostridium perfringens
2. Staphylococcus aureus
3. Streptococcus pyogenes
4. Bacillus cereus

Correct answer: 3. Streptococcus pyogenes